Upper two posterior intercostal arteries arise from
1. Aorta
2. Superior intercostal artery
3. Internal mammary artery
4. Bronchial artery

Correct answer: 2. Superior intercostal artery

Explanation: First and second posterior intercostal arteries arise from superior intercostal artery B D CHAURASIA'S HUMAN ANATOMY UPPER LIMB THORAX-VOLUME-1 SIXTH EDITION,Page no-219